The treatment of choice for a mucocele of gallbladder is:
1. Aspiration of mucous
2. Cholecystectomy
3. Cholecystostomy
4. Antibiotics and observation

Correct answer: 2. Cholecystectomy

Explanation: Ans. (b) CholecystectomyRef: Bailey 26/e p 1107-1108* Early Cholecystectomy is advised for Mucocele as it may get converted to Empyema, Perforation, Gangrene.